Osteoblastic metastasis is seen –
1. Prostate carcinoma
2. Multiple myeloma
3. Thyroid carcinoma
4. Renal carcinoma

Correct answer: 1. Prostate carcinoma